Chassar moir operation is done in :
1. VVF
2. Vesico uterine fistula
3. Urethrovaginal fistula
4. Rectovesical

Correct answer: 1. VVF

Explanation: VVF